Most common type of sarcoma of breast
1. Angiosarcoma
2. Rhabdomyosarcoma
3. Kaposi sarcoma
4. Synovial

Correct answer: 1. Angiosarcoma

Explanation: Ans. (a) Angioarcoma(Ref. Sabiston page 842,20th edition)* Angiosarcoma most commonly follows RT to the axilla.* Characterized by Bluish purple nodule clinically